Recycling, tubing and recyclable catheters will be disposed in which bag according to biomedical waste management?
1. Red
2. Blue
3. Yellow
4. White

Correct answer: 1. Red

Explanation: Red Category Contain Contaminated, recyclable waste; plastic /rubber waste Disposal method - Autoclaving, Microwaving, hydroclaving, F/b destruction & shredding Final mechanism of Disposal - Road making Extra Edge: Plastic covers which are used to pack foley's catheter etc are not considered as biomedical waste. It is general waste & is disposed through black bag